Marble bone disease is an inherited disease of the skeleton which is accompanied by an increase in calcified bone tissue. It is also known as:
1. Osteoporosis
2. Osteochondritis
3. Osteopetrosis
4. Osteogenesis imperfecta

Correct answer: 3. Osteopetrosis

Explanation: Osteopetrosis or Albers-Schonberg Disease or Marble Bone Disease is an inherited disease of the skeleton which is accompanied by an increase in calcified bone tissue - namely osteosclerosis. The bone marrow cavity is almost completely filled with compact bone tissue and cortex is thickened by periosteal bone deposition. Radiologically the bones are accordingly seen as complete shadows which give the name marble bone disease. The pathogenesis is insufficiency of osteoclasts. Hence the bone resorption is inadequate. The primary spongiosa is not transformed into a secondary spongiosa. X-ray of lumbar spine shows 'sandwich vertebra'. Ref: Bone diseases: macroscopic, histological, and radiological diagnosis By Claus-Peter Adler, 2000, Page 54